A pregnant mother presents with history of delivery of a previous child with Congenital Adrenal Hyperplasia (CAH). The best management protocol for the current pregnancy is:
1. To start prednisolone after establishing whether fetus is affected by Chorionic Villous Sampling
2. To start dexamethasone as soon as pregnancy is confirmed
3. To start dexamethasone after determining sex of the fetus by Karyotyping
4. To start prednisolone after determining sex of the fetus with USG

Correct answer: 2. To start dexamethasone as soon as pregnancy is confirmed

Explanation: CAH is autosomal recessive; if a woman has previously had a child with CAH and again becomes pregnant the same partner, her fetus will have a one in four chances of having CAH. Because the period during which the genitalia of a female fetus may become virilized begins only 6 wk after conception, treatment must be instituted essentially as soon as the woman knows she is pregnant. Ref: Novak's Gynecology 14th edition, Page 1095 ; Medical care of pregnant patient (American college of physicians) 2nd edition, page 298, 299